Fear of open spaces is:
1. Agoraphobia
2. Acrophobia
3. Claustrophobia
4. Algophobia

Correct answer: 1. Agoraphobia

Explanation: Ans. Agoraphobia